Basal ganglia is involved in which type of memory
1. Conditioning
2. Procedural
3. Explicit memory
4. None

Correct answer: 2. Procedural

Explanation: The procedural memory includes skills and habits, which, once acquired, become unconscious and automatic. This type of memory is processed in the striatum.